Hard chancre is seen in –
1. Chancroid
2. Syphilis
3. Tularemia
4. All

Correct answer: 2. Syphilis

Explanation: Lesion of primary syphilis  →     Chancre (Hard - chancre)
Lesion of H. Ducreyi        →  Chancroid (Soft - chancre)